Triad of renal colic, swelling in loin which disappears after passing urine is
called
1. Borchardt’s triad
2. Dietel’s crisis
3. Beck’s triad
4. Stuffer’s triad

Correct answer: 2. Dietel’s crisis